A sewerage worker presents to OPD with acute febrile illness alongwith jaundice and conjunctivitis. His blood sample was taken and sent to lab . Lab findings are suggestive of kidney failure and elevated hepatic enzymes. Which of following is likely diagnosis ?
1. Malaria
2. Leptospirosis
3. Pertussis
4. Typhoid

Correct answer: 2. Leptospirosis

Explanation: Given scenario suggests diagnosis of Weil's disease/ Ictero-haemorrhagic disease/ Leptospirosis Leptospirosis - Caused by Leptospira interrogans Leptospira is an actively motile spirochete Mode of transmission: Zoonotic , by contact with water or moist soil contaminated with rat's urine or dead rats. 3 R associated with leptospirosis - Rat urine , Rice (Paddy field worker) and Rainy water Incubation period - 5-14 days. Disseminated Leptospirosis AKA Weil's disease is characterized by : High-grade fever (febrile illness) and conjuctivitis, jaundice and hemorrhages (Ictero-hemmorhagic disease) and impairment of kidney functions Lab diagnosis: a) Serological tests: - MAT - 1) Microscopic agglutination test (Preferred) 2) Macroscopic agglutination test b) PCR for Leptospira species Culture media: 1) EMJH medium 2) Koaokoff medium 3) Fletcher's medium Treatment: Leptospirosis is treated with antibiotics, such as doxycycline or penicillin, which should be given early in the course of the disease. Intravenous antibiotics ( penicillin/ ceftriaxone/cefotaxime ) may be required for persons with more severe symptoms.